About first-order kinetics, the true statement is
1. Clearance remains constant
2. Fixed amount of the drug is eliminated
3. Half life increase with dose
4. Decreased clearance with increasing dose

Correct answer: 1. Clearance remains constant

Explanation: Most of the drugs follow 1st order kinetics in 1st order kinetics-clearance is constant and, elimination is not saturable, and the rate of drug elimination is directly proportional to the concentration. This is usually referred to as first-order elimination Reference: Katzung Pharmacology; 13th edition; Chapter 3; Pharmacokinetics & Pharmacodynamics: Rational Dosing & the Time Course of Drug Action